All of the following are true regarding vancomycin except:
1. Excreted unchanged mainly by glomerular filtration
2. Poorly distributed in the body fluids
3. May cause red man syndrome
4. Not absorbed orally

Correct answer: 2. Poorly distributed in the body fluids

Explanation: Ans. B: Poorly distributed in the body fluids Vancomycin undergoes limited absorption when administered orally and is therefore restricted to parenteral administration for the treatment of systemic infections. It is distributed widely to various tissues and body fluids. Penetration of vancomycin may vary by site and concomitant disease states. For example, limited CSF penetration may be enhanced by the presence of inflamed meninges. The favorable penetration of vancomycin into skin tissues may be significantly impaired in patients with diabetes. Vancomycin penetration into lung epithelial lining fluid is limited relative to that of simultaneous serum concentration (the ratio of lung tissue to serum concentration is about 0.25). Vancomycin's primary route of elimination is renal excretion of unchanged drug. The rate of elimination is directly related to creatinine clearance. Rapid intravenous injection may cause chills, fever, urticaria and intense flushing-called 'red man syndome'.